Which of the following drug is not a GPIIb / III a antagonist?
1. Tirofiban
2. Abciximab
3. Eptiifibatide
4. Prasugrel

Correct answer: 4. Prasugrel

Explanation: Prasugrel is an antagonist of P2 Y12 receptors of ADP like clopidogrel.